Non invasive method for locating an expelled Cu-T:
1. Hysteroscopy
2. Laparoscopy
3. USG
4. Laparotomy

Correct answer: 3. USG

Explanation: Ans. C i.e. USG